A postmenopausal women with a family history of osteoporosis completes a bone mineral density work-up and you find her T-score is -2.6. She tried a short course of teriparitide a year ago but complained of serious depression and mood changes. You decided to try an antibody-based therapy and schedule a time for an injection. Wof is the drug you have selected
1. Calcitonin
2. Dihydrotachysterol
3. Infliximab
4. Denusomab

Correct answer: 4. Denusomab

Explanation: Denosumab:- It is a human monoclonal antibody which inhibits osteoclast differentiation and function as well as promotes their apoptosis. It is a treatment option for postmenopausal osteoporosis when no other drug is appropriate. Ref:- kd tripathi; pg num:-346